An adult hypertensive male presented with sudden onset severe headache and vomiting. On examination, there is marked neck rigidity and no focal neurological deficit was found. The symptoms are most likely due to:
1. Intracerebral parenchymal hemorrhage
2. Ischemic stroke
3. Meningitis
4. Subarachnoid hemorrhage

Correct answer: 4. Subarachnoid hemorrhage

Explanation: Ans. d. Subarachnoid hemorrhage Most likely diagnosis in an adult hypertensive male with sudden onset severe headache, vomiting with marked neck rigidity without focal neurological deficit would be subarachnoid hemorrhage.